Decreased glucose concentration in hepatic cells triggers all of the following Except
1. Increased glucagon levels in blood
2. Activation of fructose-2,6-biphosphatase
3. Inhibition of phosphofructokinase-2
4. Increased fructose-2,6-biphosphate levels

Correct answer: 4. Increased fructose-2,6-biphosphate levels

Explanation: Decreased glucose level leads to increased levels of glucagon. Glucagon inhibits the activity of PFK-2 and stimulates the activity of Fructose 2,6 biphosphatase. Activation of fructose-2,6-biphosphatase leads to decreased level of fructose-2,6-biphosphate levels.Ref: Harper's Illustrated Biochemistry 27th ed.